Which of these can be safely stopped before an abdominal surgery?
1. ACE inhibitors
2. Beta blocker
3. Statins
4. Steroids

Correct answer: 1. ACE inhibitors

Explanation: Answer is option 1, angiotensin converting enzyme ACE inhibitors are known to cause acute GI symptoms due to various pathophysiological alterations including systemic hypotension leading to mesenteric hypoperfusion, pancreatitis, and angioedema.